All are derivatives of mullarian duct except ?
1. Fallopian tube
2. Uterus
3. Upper 2/3rd of vagina
4. Lower2/3rd of vagina

Correct answer: 4. Lower2/3rd of vagina

Explanation: Ans. is 'd' i.e., Lower 2/3rd of vagina PARAMESONEPHRIC DUCT (MULLERIAN DUCT) : Main genital duct in females Females Males Fallopian tubes Appendix of testis (Hydatid of morgagni) Uterus Prostatic utricle Upper 2/3 of vagina